The amount of undercut required for a wrought wire clasp is
1. 0.03 inch
2. 0.02 inch
3. 0.01 inch
4. 0.01 inch or less

Correct answer: 2. 0.02 inch